Major inhibitory neurotransmitter in nervous system-
1. Glutamate
2. Aspartate
3. Gamma-amino butyric acid
4. Taurine

Correct answer: 3. Gamma-amino butyric acid

Explanation: Ans. is 'c' i.e., Gamma-amino butyric acid * Gamma-aminobutyric acid (GABA) is the major inhibitory transmitter of CNS. It produces presynaptic (indirect inhibition).* Glycine is also an inhibitory transmitter and is mainly present in spinal cord. It produces direct inhibition.